New indication of tolvaptan as approved by FDA recently
1. Phenylketonuria
2. Pancreatic tumours
3. Polycystic ovarian disease
4. Polycystic kidney disease

Correct answer: 4. Polycystic kidney disease

Explanation: Tolvaptan is a vasopressin antagonist used for SIADH Now approved for PCKD Ref : HH Sharma 3rd ed.